Tetracycline is contraindicated in
1. Children
2. Pregnancy
3. Renal failure
4. All the above

Correct answer: 4. All the above